HLA-I is present on:
1. All nucleated cells
2. Only on cells of immune system
3. Only on B cells
4. Only on T cells

Correct answer: 1. All nucleated cells

Explanation: Ans. is 'a' i.e., All nucleated cells(Ref: Jawetz, 27th/e, p. 139)* HLA class I Ag - present on the surfaces of all nucleated cells.* HLA class II Ag - only on cells of immune system (macrophages, dendritic cells, activated T cells and B cells).